Microvesicular fatty change in hepatocytes is seen due to infection with:
1. Hepatitis A
2. Hepatitis B
3. Hepatitis C
4. Hepatitis D

Correct answer: 4. Hepatitis D

Explanation: Ans. (d) Hepatitis D(Ref: Robbins 9th/pg 835; 8th/pg 849)Acute HDV infection has been associated with microve- sicular change in hepatocytes; this 'spongiocytic change' or 'morula cell degeneration' was attributed to accumulation of small lipid droplets in damaged hepatocytes.